Which of the following is NOT a protein misfolding disorder:
1. Alzheimer's disease
2. Creutzfeldt Jakob disease
3. Cystic fibrosis
4. Tuberculosis

Correct answer: 4. Tuberculosis

Explanation: Protein misfolding diseases are also known as proteopathies or protein conformational disorders or disorders of proteostasis. Protein conformational disorders Major aggregating protein Alzheimer's disease Amyloid b peptide (Ab);Tau protein Prion diseases Prion protein Parkinson's disease and other synucleinopathies a-Synuclein Tauopathies Microtubule-associated protein tau (Tau protein) Huntington's diseaseand other poly Q diseases Proteins with tandemglutamineexpansions Alexander disease Glial fibrillary acidic protein(GFAP) Familial amyloidoticneuropathy, Senile systemicamyloidosis Transthyretin Pulmonary alveolar proteinosis Surfactant proteins Cystic Fibrosis cystic fibrosis transmembrane conductance regulator(CFTR) protein Sickle cell disease Hemoglobin